The most important action of beta-blockers in glaucoma is which of the following:
1. Membrane stabilizing effect
2. Retinal neuron protecting effect
3. Decrease in the production of aqueous humor
4. Pupillary constriction

Correct answer: 3. Decrease in the production of aqueous humor